Dermatome of UMBILICUS is:
1. T10
2. L2
3. L3
4. L4

Correct answer: 1. T10

Explanation: Ans. (A). T10 A dermatome is an area of skin that is mainly supplied by afferent nerve fibers from a single nerve which forms a part of a spinal nerve. There are 8 cervical nerves (C1 being an exception with no dermatome), 12 thoracic nerves, 5 lumbar nerves and 5 sacral nerves. Each of these nerves relays sensation (including pain) from a particular region of skin to the brain. Along the thorax and abdomen the dermatomes are like a stack of discs forming a human, each supplied by a different spinal nerve.